Babesiosis is transmitted by ?
1. Tick
2. Mites
3. Flea
4. Mosquito

Correct answer: 1. Tick

Explanation: Ans. is 'a' i.e., Tick Babesia Babesiosis is a protozoan disease caused by two species of Babesia : Babesia microti and Babesia divergens. It is transmitted by Ioxdid tick. Babesia infects the RBCs and resides inside the RBCs ( intraerythrocytic). Intraerythrocytic infection of Babesiosis is characterised by maltese cross. Maltese cross is a characteristic arrangement of parasites within the erythrocytes - Parasites within erythrocytes are arranged such that pointed ends of four parasites come in contact thereby giving a tetrad configuration resembling a maltese cross. Tetrad forms or 'Maltese cross' appearance is considered pathognomic of Babesiosis. Clinically Babesiosis presents with chills, fever, mild hepatosplenomegaly, and mild hemolytic anemia. o Treatment includes Atovaquone plus azithromycin or quinine plus clindamycin. Babesiosis can easily be confused with P. falciparum malaria. Following two features distinguish Babesiosis from malaria :? Presence of maltese cross in Babesiosis (absent in malaria) Absence of pigment Hemozoin in Babesiosis (present in malaria) Note - Maltese cross is also seen in cryptococcus and aspergillus.